Which structure forms the lateral wall of tonsillar fossa?
1. Facial nerve
2. Glossopharyngeal artery
3. Superior constrictor muscle
4. Palatopharyngeus muscle

Correct answer: 3. Superior constrictor muscle

Explanation: The tonsils are situated one on each side of the lateral wall of oropharynx in the tonsillar fossa. The tonsillar bed is formed by pharyngobasilar fascia, palatoglossus muscle and superior constrictor muscle of the pharynx. Tonsillar fossa is bounded anteriorly by the palatoglossal fold and posteriorly by the palatopharyngeal fold. Capsule of the tonsil covers only the lateral surface of the tonsil, and is formed by pharyngobasilar fascia. Medial surface is covered by mucous membrane of the oral cavity, with stratified squamous epithelium.